Which of the following most significantly increases the risk of hepatocellular carcinoma
1. Hepatitis B virus
2. Hepatitis A virus
3. Cytomegala virus
4. Epstein-Barr virus

Correct answer: 1. Hepatitis B virus

Explanation: Ans.a. Hepatitis B virus